In laterodetrusion movement, working condyle moves:
1. Laterally and outwards.
2. Laterally and upwards.
3. Laterally and downwards.
4. Laterally and forwards.

Correct answer: 3. Laterally and downwards.